A former from the sub-Himalayan region presents with multiple leg ulcers. The most likely causative agent is -
1. Trichophyton Rubrum
2. Cladosporium species
3. Sporothrix Schenckii
4. Aspergillus

Correct answer: 3. Sporothrix Schenckii

Explanation: Ans. is 'c' i.e., Sporothrix Schenckii Presence of multiple ulcers in the leg (along the lymphatic channels) in a farmer (out door worker) from the sub himalyan region suggests a diagnosis of Sporothrix Schenkii.